Which of the following is bad prognostic factor for choriocarcinoma?
1. Full term pregnancy
2. Short duration
3. Abortion
4. Low beta HCG

Correct answer: 1. Full term pregnancy

Explanation: ANSWER: (A) Full term pregnancyREF: COGDT 10th ed p. 892, Novak's 14th ed p. 1593PROGNOSTIC FACTORS OF CHORIOCARCINOMAGood prognostic factorsBad prognostic factorsShort duration < 4 monthsSerum beta HCG < 40,000 m IU/ mlNo metastasis to brain or liverNo significant prior to chemotherapyLong duration > 4 monthsSerum beta HCG > 40,000 m IU/ mlMetastasis to liver or liverUnsuccessful prior chemotherapyAfter full term pregnancy